Tongue muscle develop from
1. Echoderm
2. Brachial arch
3. Occipital myotomer
4. Septum transversum

Correct answer: 3. Occipital myotomer

Explanation: Occipital myotomes forms intrinsic and extrinsic muscler of fongus.